The compression fracture is commonest in -
1. Cervical spine
2. Upper thoracic spine
3. Lower thoracic spine
4. Lumbosacral region

Correct answer: 3. Lower thoracic spine

Explanation: Lower cervical and lower thorasic (dorsal) spine are the most common sites for vertical compression (Burst fracture). "In axial load injuries (compression injuries), the most common site of trauma is at the thoracolumbar junction". — Neurotrauma